Medical treatment for paraphillia includes ?
1. SSRIs
2. Benzodiazepines
3. Opioids
4. Barbiturates

Correct answer: 1. SSRIs

Explanation: Ans. A. SSRIsMedical treatment for paraphillia -Antidepressants, such as lithium and various selective serotonin reuptake inhibitors (SSRIs)Long-acting gonadotropin-releasing hormones (ie, medical castration), such as leuprolide acetate and triptorelinAntiandrogens (to lower sex drive)' such as medroxyprogesteroneacetate (10 mgqt2hr, with the dosage doubled every3 days to a maximum of 200 mg/day, then maintained for I month and adjusted as necessary).Phenothiazines, such as fluphenazineMood stabilizers